A patient presents with unconjugated hyperbilirubinemia and presence of urobilinogen in urine. Which amongst the following is the least likely diagnosis -
1. Hemolytic jaundice
2. Crigler Najjar syndrome
3. Gilbert's syndrome
4. Dubin Johnson syndrome

Correct answer: 4. Dubin Johnson syndrome